In large tapeworm infestations. True is
1. The diagnosis is confirmed by Sabin Feldman dye test
2. Intestinal obstruction is usually the presenting feature
3. Eggs are frequently detected in the stools
4. None of the above

Correct answer: 3. Eggs are frequently detected in the stools

Explanation: (C) Eggs are frequently detected in the stools # Diagnosis of TAPEWORM infection> Infection with the adult worm is diagnosed by demonstration of eggs, or more specifically of proglottides in faeces.> It can be differentiated from T. saginata on the characteristics of the proglottides.